Which base is not found in DNA:
1. Adenine
2. Guanine
3. Cytosine
4. Uracil

Correct answer: 4. Uracil

Explanation: Ans. D. UracilBoth DNA and RNA contain same type of purines namely Adenine (A) and Guanine (G). The pyrimidine, in DNA are Thymine (T) and Cytosine(C). The pyrimidines in RNA are Uracil (U) and Cytosine(C).